Nitroguanidine is used as a propellant cahrge in
1. Semismokeless gun powder
2. Single based smokeless gun powder
3. Double based smokeless gun powder
4. Triple based smokeless gun powder

Correct answer: 4. Triple based smokeless gun powder

Explanation: Triple base powder consists of nitrocellulose, nitroglycerin, and nitroguanidine. The quantity of nitroglycerin is small but sufficient to give power; the nitroguanidine lowers the flame temperature while adding an active explosive constituent. Ref - Krishan Vij textbook of forensic medicine and toxicology 5e pg - 239